Which of the following has head at epiphysis
1. Distal phalanx
2. Middle phalanx
3. Thumb metacarpal
4. Third metacarpal

Correct answer: 4. Third metacarpal

Explanation: Aberrant epiphysis: These epiphyses are deviations from the norm and are not always present. For example, the epiphysis at the head of the first metacarpal bone.